False about gastrointestinal development is -
1. Lower respiratory system develops from foregut
2. Stomach rotates 90° clock wise & its posterior wall grows faster.
3. Duodenum rotates to right & is retroperitoneal
4. Dorsal bud form uncinate process

Correct answer: 4. Dorsal bud form uncinate process